A 42-year-old man is brought to you after suffering a grand mal seizure. There is no history of recent illness, fever, headache, seizures, or head trauma. Neurologic exam shows the patient to be alert and oriented. No focal abnormalities are noted. A CT scan of the head reveals multiple punctate calcifications, and two enhancing cystic lesions with surrounding edema. Most likely diagnosis?
1. Amebiasis
2. Cytomegalovirus infection
3. Echinococcosis
4. Neurocysticercosis

Correct answer: 4. Neurocysticercosis

Explanation: This is the history of neurocysticercosis due to T. solium. Common name for this parasite is pork tapeworm or armed tapeworm. The intermediate host is pig, while human can act as both definitive and intermediate host. When humans act as intermediate host, it causes neurocysticercosis, which is the most common parasitic infection of CNS in our country. The laboratory diagnosis is by biopsy of the tissue containing cysticerci or demonstration of antibodies in the patient's serum by ELISA.